What is the end  product of anaerobic glycolysis
1. 2ATP + 2NAD
2. 2ATP + 2NADH
3. 2ATP + 2 FADH2
4. 4ATP + 2NAD

Correct answer: 1. 2ATP + 2NAD

Explanation: 2ATP and 2 NAD are the end product of anaerobic glycolysis.
4ATPs are produced in total, but 2ATPs are used by hexokinase, PFK-1 (one each)